All of the following are true for Vogt-KoyanagiHarada syndrome except:
1. More common in Japanese people, who are usually positive for HLA-B27
2. Ocular features are; Chronic granulomatous anterior uveitis, posterior uveitis and exudative retinal detachment
3. Cutaneous lesions are alopecia, poliosis and vitiligo
4. Neurological lesions include, meningism, encephalopathy, tinnitis, vertigo and deafness

Correct answer: 1. More common in Japanese people, who are usually positive for HLA-B27

Explanation: Ans. More common in Japanese people, who are usually positive for HLA-B27